Wave length of UV A2 rays is
1. 200nm to 280nm
2. 280nm to 320nm
3. 320nm to 340nm
4. 340nm to 400nm

Correct answer: 3. 320nm to 340nm

Explanation: Ultraviolet light * Ultraviolet light (UV) is made up of: # Vacuum UVC (10-200 nm) # UVC (200-280 nm) # UVB (280-320 nm) # UVA (320-400 nm) divided into UVAII (320-340 nm) and UVAI (340-400 nm). Ref:- Review of Dermatology by Alikhan; pg num:-13